A 30 yr old female presents for routine checkup with asthma.she is on inhalational salbutamol, budesonide, and salmeterol. She complains of dyspnea.PEF was mildly improved. You have added zafirlukast to her prescription. What is the mechanism of action of zafirlukast?
1. Inhibition of actions of LTB4
2. Inhibition of actions of LTC4, D4
3. Inhibition of formation of LTC4, D4
4. Inhibition of release of Leukotrienes from mast cells

Correct answer: 2. Inhibition of actions of LTC4, D4

Explanation: Montelukast and zafirlukast act by inhibiting the actions of slow reactive species (SRS-LTC4, D4)-Cysteine leukotriene receptor inhibitorsZileuton inhibits formation of leukotrienes.,Ref: Katzung 13thed.Pg 350